SYT-SSX1 gene is associated with -
1. Liposarcoma
2. Rhabdomyosarcoma
3. Synovial sarcoma
4. Ewings sarcoma

Correct answer: 3. Synovial sarcoma